Lymphangitis is caused by
1. Staphylococcus
2. Streptococcus
3. Pneumococcus
4. Neisseria

Correct answer: 2. Streptococcus

Explanation: S. pyogenes causes a variety of suppurative infections of the skin, including infections of wounds and burns, with a predilection to produce lymphangitis and cellulitis. Ref: Textbook of microbiology; Ananthanarayan and paniker's; 10th Edition; Pg:215